Occlusion of the following vessel will lead to amaurosis fugax:
1. Middle cerebral artery
2. Retinal arteriole
3. Renal vessels
4. Mesenteric vessels

Correct answer: 2. Retinal arteriole

Explanation: Amaurosis fugax refers to a transient ischemic attack of the retina. It usually results from an embolus that becomes stuck within a retinal arteriole. The most common source of embolus is an atherosclerotic plaque in the carotid artery or aorta. Because neural tissue has a high rate of metabolism, interruption of blood flow to the retina for more than a few seconds results in transient monocular blindness. Patients describe a rapid fading of vision like a curtain descending, sometimes affecting only a portion of the visual field. If the embolus breaks up or passes, flow is restored and vision returns quickly to normal without permanent damage. With prolonged interruption of blood flow, the inner retina suffers infarction. Ref: Horton J.C. (2012). Chapter 28. Disorders of the Eye. In D.L. Longo, A.S. Fauci, D.L. Kasper, S.L. Hauser, J.L. Jameson, J. Loscalzo (Eds), Harrison's Principles of Internal Medicine, 18e.